Typical "Saw-tooth" colon on barium enema is seen with –
1. Colonic diverticulosis
2. Colonic volvulus
3. Colonic carcinoma
4. Ulcerative colitis

Correct answer: 1. Colonic diverticulosis